Which nerve lesion could produce the condition where stimulation of right cornea results in the blinking of the left eye but not the right eye?
1. Left trigeminal
2. Left facial
3. Right trigeminal
4. Right facial

Correct answer: 4. Right facial

Explanation: Summary of blink reflex:Ipsilateral blinkContralateral blinkNormalPresentPresentFacial nerve lesionAbsentPresentTrigeminal nerve lesionAbsentAbsent